Adipocere is likely to occur in :
1. Warm humid climate
2. Dry hot climate
3. Burial in sandy oil
4. Extreme cold

Correct answer: 1. Warm humid climate

Explanation: A i.e. Warm humid climate